Which IPC includes vitriolage ?
1. 318
2. 319
3. 320
4. 321

Correct answer: 3. 320

Explanation: Ans. is 'c' i.e., 320 Vitriolage is a potential cause of permanent disfigurement of face and thus is covered under grevious hurt and so comes under IPC 320. Vitriolage' is throwing of any corrosive on another person. Eyes are affected most commonly. It comes under sector 320 IPS.